Early gastric carcinoma confined to -
1. Mucosa
2. Mucosa and submucosa
3. Muscularis, mucosa and submucosa
4. Lymph nodes

Correct answer: 2. Mucosa and submucosa

Explanation: Ans. is 'b' i.e., mucosa and submucosa o Early gastric cancer is defined as adenocarcinoma limited to the mucosa and submucosa of the stomach, regardless of the lymphonode status.o Approximately 10% of patients with early gastric cancer are found to have lymph node metastasis on presentation,o Overall cure rate with adequate gastric resection and lymphadenectomy is -95%.o It has the best prognosis among stomach cancer subtypes.